Cricothyroid muscle is supplied by
1. Recurrent laryngeal nerve
2. Inferior laryngeal nerve
3. Superior laryngeal nerve
4. Nerve of galen

Correct answer: 3. Superior laryngeal nerve

Explanation: Ref BDC volume 3;sixth edition pg 257 All intrinsic muscles of the larynx are supplied by the recurrent laryngeal nerve except for the cricothyroid which is supplied by the external laryngeal nerve.